Neuro ectodermal origin is of?
1. Choroidal plexus
2. Primary vitreous humor
3. Trabecular
4. Iris epithelium

Correct answer: 4. Iris epithelium

Explanation: Iris epithelium REF: Yanoff & Ducker- ophthalmology 2nd edition page 22-23, parson 20th edition page 5, Khurana 4th edition page 10 DEVELOPMENT OF OCULAR STRUCTURES: Neuroectoderm Surface ectoderm Mesoderm * Epithelium of iris and ciliary * Conjunctival and corneal * Sclera bodies epithelium * Corneal stroma and * Muscles of iris (constrictor * Lacrimal and tarsal glands endothelium pupillae / Dilator pupillae) * Lens * Iris stroma and endothelium * Retina with its pigment epithelium * * Choroid Primary or primitive * Optic vesicle and cup vitreous * Optic nerve * Blood vessels of eye * Secondary or definitive or * Muscles of eye (except iris) vitreous proper * Trabecular meshwork * Ciliary zonules (tertiary vitreous) * Glial tissue of optic nerve and sheath